a - adrenoreceptor stimulation effects are :
1. Vasoconstriction
2. Vasodilatation
3. Broncho constriction
4. Alveolar bronchoconstriction

Correct answer: 1. Vasoconstriction

Explanation: A i.e. Vasoconstriction